Internal resorption may follow all except
1. trauma
2. root fracture
3. successful root canal filling
4. Enamel fracture

Correct answer: 3. successful root canal filling